Which of the following are the features of pernicious anemia?
1. Hyper-segmented neutrophils
2. Subacute combined degeneration of spinal cord
3. Gastric mucosal atrophy
4. All of the above

Correct answer: 4. All of the above

Explanation: Features of pernicious anemia: Hyper-segmented neutrophils Howell-Jolly bodies Megaloblasts Macro-ovalocytosis Ataxia, Subacute combined degeneration of spinal cord Increase levels of methyl malonyl CoA, homocysteine